A barefoot child steps on some glass on the sole of his foot and complaints of numbness of the small toe. Which nerve has he most likely injured?
1. Lateral plantar
2. Tibial
3. Medial plantar
4. Superficial peroneal

Correct answer: 1. Lateral plantar

Explanation: The lateral plantar nerve provides sensory innervation to the lateral aspect of the plantar surface of the foot.Must know:The lateral plantar nerve supplies sensation to the distal lateral sole, the plantar aspect of the small toe, and the lateral plantar surface of the fourth toe. The lateral plantar nerve is one of the terminal branches of the tibial nerve that courses from the medial side of the foot laterally toward the head of metatarsal 5, deep to the flexor digitorum brevis muscle. The lateral plantar nerve continues forward and bifurcates into a deep branch and a superficial branch. This nerve provides motor innervation to lumbricals 2 to 4 and the plantar and dorsal interossei, adductor hallucis, quadratus plantae, flexor digiti minimi brevis, and abductor digiti minimi muscles. The medial plantar nerve provides sensory innervation to the medial plantar surface of the foot. Ref: Morton D.A., Foreman K.B., Albertine K.H. (2011). Chapter 38. Foot. In D.A. Morton, K.B. Foreman, K.H. Albertine (Eds), The Big Picture: Gross Anatomy.